A 4-year-old boy presents with recurrent fractures, hyperextensible joints and hearing problems. His X-ray of lower limbs show the following. What is your diagnosis?
1. Achondroplasia
2. Osteogenesis imperfecta
3. Osteopetrosis
4. Ehler-Danlos syndrome

Correct answer: 2. Osteogenesis imperfecta

Explanation: b. Osteogenesis imperfectaOsteoporosis with metaphyseal flaring & "popcorn" formation at growth plates are features of Osteogenesis Imperfecta